Which of the following drugs is used for treatment of myoclonus?
1. Valproate
2. Levetiracetam
3. Primidone
4. All of the above

Correct answer: 4. All of the above

Explanation: Treatment primarily consists of treating the underlying condition or removing an offending agent. Pharmacologic therapy involves one or a combination of GABAergic agents such as valproic acid (1200-3000 mg/d), piracetam (8-20 g/d), clonazepam (2-15 mg/d), or primidone (500-1000 mg/d). Recent studies suggest that levetiracetam may be particularly effective. Ref: Harrison's principle of internal medicine 17th edition, chapter 367.